Daclizumab acts through -
1. cGMP activation
2. Adenylcyclase inhibition
3. IL 2 receptor blocker
4. IL10 receptor blocker

Correct answer: 3. IL 2 receptor blocker

Explanation: Ans, is 'c' i.e., 1L 2 receptor blocker o Monoclonal antibodies (daclizumab and basiliximab) that block the interleukin 2 receptor and are used in prevention of graft rejection as immunosuppresant.Monoclonal AntibodyTargetIndicationTrastuzumabTositumomabRituximabIbritumomabDaclizumabBasiliximabAbciximabPalivizumabInfliximabEtanerceptOfatumumabBelimumabEpratuzumabOcrelizumabAdalimumabAlefaceptAlemtuzumabBevacizumabCetuximabGemtuzumabEfalizumabOmalizumabNatalizumabDonesumabTocilizumabPanitumumabRanibizomabNimotuzumabEculizumabher-2/neuCD 20CD 20CD 20II-2R (CD-25)II-2R (CD-25)GpII/IIIaFusion proteinTNF aTNF aCD 20BLySCD 22CD 20TNF aLFA-3CD 52VEGFEGFRCD 33CD 11a chain of LFAIgEIntegrin-a4RANK ligandIL-6REGFRVEGFEGFRC5 complement componentBreast cancerB-cell NHLB-cell NHLB-eell NHLImmunosuppressantImmunosuppressantAntiplateletRSVRA .Crohn's diseaseRA (rheumatoid arthritis)SLESLESLESLERAPlaque psoriasisB cell CLLColorectal carcinomaColorectal carcinomaAMLPsoriasisBronchial asthmaMultiple sclerosisOsteoporosisSLEColorectal carcinomaNeovascular macular degenerationSquamous cell carcinoma, gliomaParoxysomal nocturnal hemoglobinuria